Long term complication of live kidney donors are
1. Hypertension
2. HPV Infection
3. Renal Carcinoma
4. Pyelonephritis

Correct answer: 1. Hypertension

Explanation: Answer- A. HypertensionHypertentionCardiovascular risksPreoteinuriaEnd stage renal disease